Which one of the following Union Ministers administers the "Nutritional Programme for Adolescent Girls" ?
1. Ministry of Health and Family Welfare
2. Ministry of Social Justice and Empowerment
3. Ministry of Women and Child Development
4. Ministry of Housing and Urban PovertyAlleviation

Correct answer: 3. Ministry of Women and Child Development